Which is the most common complication during vaginal delivery in a diabetic women :
1. Uterine inertia
2. Shoulder dystocia
3. Postpartum hemorrhage
4. Excessive moulding of head

Correct answer: 2. Shoulder dystocia

Explanation: Shoulder dystocia